Gemcitabine is effective in :
1. Head and neck cancers
2. Pancreatic cancer
3. Small-cell lung cancer
4. Soft tissue sarcoma

Correct answer: 2. Pancreatic cancer